Which of the following is seen in eosinophil granules?
1. Cathepsin
2. Major basic protein
3. Transferrin
4. All of the above

Correct answer: 2. Major basic protein

Explanation: Eosinophils are abundant in immune reactions mediated by IgE and in parasitic infections. A chemokine that is especially important for eosinophil recruitment is eotaxin. Eosinophils have granules that contain major basic protein, a highly cationic protein that is toxic to parasites but also causes lysis of mammalian epithelial cells. Ref: Robbins 8th edition, Chapter 2.